All of the following have operculated eggs except
1. Clonorchis sinensis
2. Diphyllobothrium latum
3. Hymenolepis dimunita
4. Fasciola hepatica

Correct answer: 3. Hymenolepis dimunita

Explanation: C i.e. Hymenolepis dimunitaRef: Paniker's Textbook of Parasitology, 6th edition, page 127,129,156Explanation:Parasites with Operculated Eggs:Fasciola hepatica.Fasciolopsis buski.Paragonimus westermani.Opisthorchis felineus.Fasciola gigantica.Clonorchis sinensis.Opisthorchis viverrini.Diphyllobothrium latum.